Non essential amino acids are not:
1. Used by the body.
2. Forming part of the proteins.
3. Required in the diet.
4. Absorbed in the intestine.

Correct answer: 3. Required in the diet.